Post exposure vaccination is given in -
1. Typhoid
2. Rabies
3. Mumps
4. None

Correct answer: 2. Rabies

Explanation: Ans. is 'b' i.e., Rabies {Ref: Park 22nd/e p. 254r 114]Post-exposure immunizationo Post exposure immunization is prophylactic immunization immediately after exposure to a pathogen, in order to prevent infection by the pathogen and the development of disease,o Post exposure immunization is given for -i) Varicella (chicken pox)iv) Measlesii) Rabiesv) Tetanusiii)Hepatitisvi) Meningococcal meningitis